True about translation of protein is
1. It has 3 steps initiation, elongation & termination
2. IF-2 prevent reassociation of ribosomal subunit
3. IF-3 and 1A cause binding of initiating codon
4. None

Correct answer: 1. It has 3 steps initiation, elongation & termination

Explanation: A i.e. It has 3 steps initiation, elongation & termination